Colipase is an enzyme found in____?
1. Saliva
2. Bile
3. Pancreatic juice
4. Succus entericus

Correct answer: 3. Pancreatic juice

Explanation: Ans. C Pancreatic juiceRef: Ganong, 25th ed. pg. 461* Colipase is secreted in pancreatic juice in inactive form. It is activated in intestinal lumen by trypsin.* Lingual lipase is secreted by Von Ebner s glands.* Intestinal lipase is secreted in succus entericus. Succus entericus is secreted by small intestine and has a pH of 8.3.Enzymes involved in fat digestionAreaJuiceEnzymeSubstrateMouthSalivaLingual lipaseTriglyceridesStomachGastric juice* Gastric lipase (weak lipase)* Pancreatic lipase* Cholesterol ester hydrolase* Phospholipase A* Triglycerides* Triglycerides* Cholesterol ester* PhospholipidsSmall intestinePancreatic juice* Phospholipase B* Colipase* Bile-salt- activated lipase* Lysophospholipids* Facilitates action of pancreatic lipase* Phospholipids* Cholesterol estersSmall intestineSuccus entericusIntestinal lipaseTriglycerides